Efferent cremastric reflex is carried by
1. Illio inguinal nerve
2. Genito-femoral nerve
3. Iliohypogastric nerve
4. Pudendal nerve

Correct answer: 2. Genito-femoral nerve

Explanation: Ans. (b) Genito-femoral nerveRef: Clinically Oriented Anatomy by Keith, Moore, 5thEd,/223# CREMASTERIC REFLEXEfferent: genital branch of genitofemoral nerveAfferent: Femoral branch of genitofemoral nerve* Contraction of the cremaster muscle is elicited by lightly stroking the skin on the medial aspect of the superior part of the thigh with an applicator stick or tongue depressor.* The ilioinguinal nerve supplies this area of skin.The rapid elevation of the testis on the same side is the cremasteric reflex. This reflex is extremely active in children* A hyperactive cremasteric reflex may simulate undescended testes.